Meckel's diverticulitis is indistinguishable at the bed side is:
1. Gastritis
2. Colitis
3. Appendicitis
4. Pancreatitis

Correct answer: 3. Appendicitis

Explanation: (Appendicitis): Ref: 1159, 1208-LB, 1367-SB (1209-B & L 25th)* Meckel's diverticulitis, which is clinically indistinguishable from appendicitis, should be considered in the differential diagnosis of a patient with right lower quadrant pain (1367-SB)* In children, the single most accurate diagnostic test for Meckel's diverticula is scintigraphy with sodium 99mTc pertechnetate (1367-SB)* Small bowel enema would be the most accurate investigation in adults* Most common clinical presentation of MD is GI bleeding.* If a silent Meckel's found incidently during the course of an operation, it can be left alone provided it is wide mouthed and not thickened.